In one carbon metabolism Serine loses which carbon atom?
1. Alpha
2. Beta
3. Gamma
4. Delta

Correct answer: 2. Beta

Explanation: Ans. B. BetaCarbon atomEnzyme is Serine Hydroxy Methyl TransferaseSerine loses the beta Carbon atom to form Glycine and Methylene THFA